A young male was found to be HBsAg positivity and HBeAg negative. His liver enzymes were normal. The next step in management of this young male should be:
1. Lamivudine therapy
2. Lamivudine plus IFN therapy
3. Start IFN therapy
4. Serial monitoring

Correct answer: 4. Serial monitoring

Explanation: Normal liver enzymes and negative HBeAg indicate the patient is either a chronic carrier of hepatitis B or the patient is in the non replicative phase of chronic hepatitis. Such patients are best managed by sequential monitoring (biochemical and virological) over many months and are not considered for antiviral therapy. Ref: Harrison's Principles of Internal Medicine, 16th Edition, Pages 1829-31, 1836-37; Manual of Practical Medicine By R Alagappan, 3rd Edition, Pages 293, 296; Davidson's Principles and Practice of Internal Medicine, 19th Edition, Pages 862-64